ST elevation is seen in all of the following conditions except-
1. Myocardial infarction
2. Coronary artery spasm
3. Constrictive pericarditis
4. Ventricular aneurysm

Correct answer: 3. Constrictive pericarditis

Explanation: Ans. is 'c1 i.e., Constrictive pericarditis Causes of ST segment elevationCauses of ST segment elevationCommon causesRare causeso Acute myocardial infarction}witho Brugada syndromeo Prinzemetal angina (non infarction transmural ischaemia)o Class I C antiarrhythmic drugso DC cardioversiono Ventricular aneurysm (Post myocardial infarction)o Hyperkalemia o Hypothermia (J wave / Osborn wave)o Acute pericarditiso Myocardial injuty (Myocarditis Trauma, Tumor invasion)o Normal variant ('early repolarization ' pattern)o L.V hypertrophy / left bundle branch block o Brugada syndrome shows RBBB like pattern with ST elevation) in right precordial leads.